IUD should  be better not inserted in following conditions except
1. Genital bleeding of unknown origin
2. Postpartum endometritis
3. Suspected cervical malignancy
4. Immediate post partum

Correct answer: 4. Immediate post partum

Explanation: IUD can be safely inserted in the immediate post partum period following either vaginal or cesarean delivery.